Which of the following statements about a drug having high plasma protein binding is true?
1. Volume of distribution of the drug is very high
2. This drug will be filtered quickly by glomerulus
3. This drug is likely to have minimum chances of drug interactions
4. High plasma protein binding decreases the volume of distribution

Correct answer: 4. High plasma protein binding decreases the volume of distribution

Explanation: * When a drug is highly bound to plasma proteins, it is more likely to stay in blood because protein bound drug does not cross membranes and thus Vd is less. * Glomerular filtration depends on renal blood flow and plasma protein binding. Highly protein bound drugs are less likely to be filtered by the glomerulus. * More than one drug can bind to the same site of plasma protein. This can give rise to displacement interactions among drugs bound to the same site. The drug bound with higher affinity will displace the drug with lower affinity and increase the concentration of its free form.